Angular vein infection commonly causes thrombosis of:
1. Cavernous sinus
2. Sphenoid sinus
3. Petrosal sinus
4. Sigmoid sinus

Correct answer: 1. Cavernous sinus

Explanation: Ref : Dhingra 7e pg 226.